A pilot in Sukhoi aircraft is experiencing negative G Which of the following physiological events will manifest in such situation?
1. The hydrostatic pressure in veins of lower limb increases
2. The cardiac output decreases
3. Black out occurs
4. The cerebral arterial pressure rises

Correct answer: 4. The cerebral arterial pressure rises

Explanation: during acceleration downward, force acting toward the head (negative g) increases arterial pressure at head level. But intracranial pressure also rises, so that the vessels are supported and do not rupture. The cerebral vessels are protected during the straining associated with defecation or delivery in the same way. If the body is accelerated upward (positive g), blood moves toward the feet and arterial pressure at the level of the head decreases Ref: Ganong's Review of Medical Physiology Twenty-Third Edition Page No:575